An unidentified dead body is brought to you for autopsy. You notice a faded tattoo mark on the left arm of the body. Which of the following methods can you use to enhance the tattoo mark for identification?
1. Application of isopropyl alcohol
2. Infrared photography
3. Bright illumination
4. All of the above

Correct answer: 2. Infrared photography

Explanation: Infrared photography makes old tattoos readily visible. A faded tattoo mark can by visualized by Ultraviolet light. Infrared photography. Rubbing the part and examining with a magnifying lens. In decomposed bodies, the tattoo marks can be visualized by removing the epidermis by a moist cloth. The lymph nodes near a tattoo mark also show a deposit of the pigment. Reference The Synopsis of FORENSIC MEDICINE and Toxicology 29th Edition